A 55-year old woman has recurrent urinary retention after a hysterectomy done for a huge fibroid. The most likely cause is:
1. Atrophic and stenotic urethra
2. Lumbar disc prolapse
3. Injury to the bladder neck
4. Injury to the hypogastric plexi

Correct answer: 4. Injury to the hypogastric plexi

Explanation: Out of the given options, injury to bladder neck and hypogastric plexus are associated with hysterectomy which can lead to urinary retention Injury to the bladder neck can result in a retention or even incontinence, but the more common cause is the injury to the hypogastric plexus of nerves with carries the efferents for bladder control